Missing cases are detected by:
1. Active surveillance
2. Passive surveillance
3. Sentinel surveillance
4. Monitoring

Correct answer: 3. Sentinel surveillance

Explanation: Sentinel surveillance